The foetal blood is separated from syncytiotrophoblast with all except:
1. Fetal blood capillary membrane
2. Mesenchyme of intervillous blood space
3. Cytotrophoblast
4. Decidua parietalis

Correct answer: 4. Decidua parietalis

Explanation: The maternal blood in the lacuna is never in direct contact with fetal blood. They are separated by:

Syncytiotrophoblast
Cytotrophoblast
Basement membrane
Mesoderm
Endothelium of fetal capillaries

Together called as placental barrier or membrane (0.025 mm)